False statement regarding Complex Regional Pain Syndrome (CRPS) is?
1. Type 1 CRPS occurs following a nerve injury
2. Type 1 CRPS is also called as Reflex Sympathetic Dystrophy
3. It occurs due to adrenergic sensitivity of afferent nociceptors
4. CRPS Type 1 resolves with symptomatic treatment

Correct answer: 1. Type 1 CRPS occurs following a nerve injury

Explanation: CRPS Type 1 occurs without obvious nerve injury. When the pain and signs of sympathetic dysfunction occur after an identifiable nerve injury, it is termed CRPS Type 2. Reference: Harrison's Principles of Internal Medicine, 19th edition, page 90